A female health worker , while prescribing OC pills should evaluate all, EXCEPT:
1. Calf tenderness
2. Convulsions
3. History of chronic headache
4. Having two live issues

Correct answer: 4. Having two live issues

Explanation: Ans. is 'd' i.e. Having two live issues Checklist for prescription of OCPsAbove 40 yrs. of ageAbove 35 yrs. of age and a heavy smokerSeizuresSevere pain in calf or thighSymptomatic varicose veins in legsSevere chest painUnusual shortness of breath after examinationSevere headache and/ or visual disturbanceLactating for less than 6 monthsIntermenstrual bleeding or bleeding after sexual intercourseAmenorrhoeaAbnormally yellow skin, eyesB.P. > 140 sys. or > diastolicMass in breastSwollen legsInstruction : If all the above are negative, the woman may be given OCPs, If any one of these is positive, she must be seen by a doctor.